There are two normal children of the same age and sex. In one, all the permanent teeth except the third molars have erupted. In the other, no permanent canines or premolars have erupted. How old are these children?
1. 7 years
2. 9 years
3. 11 years
4. 13 years

Correct answer: 3. 11 years